Using a small fine probe, single lactiferous duct is excised. What is the name of the procedure:
1. Macrodochectomy
2. Microdochectomy
3. Webster operation
4. Hadfield operation

Correct answer: 2. Microdochectomy

Explanation: Microdochectomy: Small fine probe inserted into duct Peri-areolar incision is made By dissecting nipple flap, duct is excised Done for duct papilloma Hadfield operation: Conical excision of major ducts Done for duct ectasia